At what age the first permanent teeth appear in a child?
1. 2 years
2. 4 years
3. 6 years
4. 8 years

Correct answer: 3. 6 years

Explanation: Ans. is 'c' i.e., 6 years Rule of six:-* Primary (temporary) dentition begins 6 months.* Secondary (permanent) dentition begins 6 years.Eruption of temporary teeth(Primary dentition)ToothAge in range (months)Average age (months)Lower CI6-87Upper CI7-98Uppler LI7-98Lower LI10-12111 molar12-1413Canine17-1817-5II molar20-3025 Eruption of permanent teeth(Secondary dentition) Age in range (year)Average age (year)First molar6-76[?]5Central incisor7-87Lateral incisor8-98First PM9-1110Second PM10-1211Canine11-1211[?]5Second molar12-1413Third molar17-2517